Stellate wound is seen in?
1. Contact shot
2. Close shot
3. Distant shot
4. All of the above

Correct answer: 1. Contact shot

Explanation: Stellate wound is seen only in contact shot.